All of the following are features of Lymph node histology except
1. Subcapsular sinus present
2. Both Efferent and Afferent are present
3. Cortex and Medulla are present
4. Red pulp and White pulp are present

Correct answer: 4. Red pulp and White pulp are present

Explanation: Red pulp and White pulp are present in spleenHistologically, a lymph node is subdivided into three regions: cortex, paracortex, and medulla. All three regions have a rich supply of sinusoids, enlarged endothelially lined spaces through which lymph percolates.The afferent lymph vessels pierce the capsule on the convex surface of the node and empty their lymph into the subcapsular sinus. This sinus is continuous with the cortical sinuses and delivers the lymph into the medullary sinuses, eventually to enter the efferent lymphatic vessels.Reference: Krishna Garg Histology; 5th edition; Page no: 92